In strychnos nux vomica poisoning -
1. Pt becomes unconscious immediately
2. Pt remains conscious throughout
3. Pt becomes unconscious at end stage
4. Pt becomes unconscious in 1 hr or so

Correct answer: 2. Pt remains conscious throughout

Explanation: consciousness is not lost and the mind remains clear till death.the duration of convulsions varies for half to two minutes REF;THE SYNOPSIS OF FORENSIC MEDICINE:KS NARAYANA REDDY;28th EDITION;PAGE NO 353